Mercury intoxication in dental office mainly results from:
1. Direct contact with the mercury
2. Inhalation of mercury vapours
3. Ingestion of mercury
4. None of the above

Correct answer: 2. Inhalation of mercury vapours